Following is a doctrine related to negligence -
1. Therapeutic misadventure
2. Privileged communication
3. Professional secrecy
4. All of the above

Correct answer: 1. Therapeutic misadventure

Explanation: Ans. is 'a' i.e. Therapeutic misadventureo Diagnostic or Therapeutic misadventure is the occurrence of misadventure causing injury or death of the patient due to inherent risk of procedure or drug, e.g. adverse effects of a drug. It is unintentional.Doctrines related with negligence1) Resp Ipsa Loquitar (fact speaks for itself)2) Calculated risk doctrine3) Doctrine of common knowledge4) Diagnostic or Therapeutic misadventure5) Medical maloccurance (inevitable accident or Act of god)6) Novus Actus Interveniens (an unrelated action intervening)7) Contributory negligence8) Vicarious responsibility (Liability)9) Borrowed servant doctrine (captain of the ship doctrine)10) Product liability.